Which of the following is/are not the features of henoch-Schonlein purpura (HSP) -
1. Abdominal pain
2. Splinter hemorrhage
3. Thrombocytopenia
4. Epistaxis

Correct answer: 3. Thrombocytopenia

Explanation: Ans. is 'c' i.e., Thrombocytopenia o HSP is characterized by tetrad of palpable purpura, arthritis, glomerulonephritis and abdominal pain. o Less common skin lesions are : nonpalpable macules & patches, urticaria, bullous lesions, vesicles, splinter hemorrhage and ulcerations. o Rarely epistaxis may occur.